Empirical drug of choice for treatment of meningococcal meningitis is:
1. Cefoxitin
2. Ceftriaxone
3. Cefotetan
4. Gentamicin

Correct answer: 2. Ceftriaxone

Explanation: Ref: Harrison 19th ed. P 767* Ceftriaxone is the empirical drug of choice for treatment of meningitis. It is frequently combined with vancomycin.